All are associated with EBV except -
1. Infectious mononucleosis
2. Nasopharyngeal carcinoma
3. Oral hairy leukoplakia
4. Epidermodysplasi

Correct answer: 4. Epidermodysplasi

Explanation: EBV causes nadopharyngeal carcinoma,oral hairy luekoplakia&infectious mononucleosis REF:MICROBIOLOGY ANANTHA NARAYANAN NINTH EDITION PAGE.475